Alpha,anti trypsin deficiency causes
1. centri acinar emphysema
2. panacinar emphysema
3. centrilobar emphysema
4. irregular emphysema

Correct answer: 2. panacinar emphysema

Explanation: Ans b (panacinar -emphysema) Ref Harrison 17th pg 1638Emphysema is classified into distinct pathologic types, the most important being centriacinar and panacinar.Centriacinar emphysema -cigarette smoking- enlarged airspaces in association with respiratory bronchioles- upper lobes and superior segments of lower lobes and is often quite focal.Panacinar emphysema - large airspaces evenly distributed within and across acinar units-Alpha! AT deficiency- lower lobes.Risk factors for the development of COPDTobacco smokeBiomass solid fuel firesOccupational -Coal miners & cadmiumAir pollutionLow birth weightChildhood infections & maternal smoking